The recommended daily energy intake of an adult woman with heavy work is -
1. 1800
2. 2100
3. 2300
4. 2900

Correct answer: 4. 2900

Explanation: -The recommended daily energy intake of an adult woman with heavy work is 2850 kcal /day. Reference : Park's textbook of preventive and social medicine, 23rd edition, pg no:634,table 24.